Memory disturbance of ECT recovers in:
1. Few days to few weeks
2. Few weeks to few months
3. Few months to few years
4. Permanent

Correct answer: 2. Few weeks to few months

Explanation: Amnesia caused by ECT is mild and recovery occurs usually within 2-6 months after treatment.